ICDS package does not include -
1. Nutrition
2. Immunisation
3. Health check up
4. Formal education

Correct answer: 4. Formal education

Explanation: ICDS include supplementary nutrition nutrition and health education,immunisation,health checkup.REF.PARK'S TEXTBOOK OF PREVENTIVE AND SOCIAL MEDICINE.Editon-21.Page no.-545